MC cause of cholestatic jaundice in newborn is
1. Hypoplasia of biliary tract
2. Neonatal hepatitis
3. Choledochal cyst
4. Physiological

Correct answer: 2. Neonatal hepatitis

Explanation: MC cause of cholestatic jaundice in newborn is Neonatal hepatitis. MCC of jaundice in 1st 24 hrs of life - Hemolytic disease of newborn. MCC of jaundice in 24 hrs to 72 hrs of life - Physiological jaundice.